Greater than a single codon coding for same amino acid is known by the term?
1. Degeneracy
2. Transcription
3. Universality
4. Frame shift mutation

Correct answer: 1. Degeneracy

Explanation: More than one codon coding for same amino acid is known as degeneracy. The third nucleotide in a codon is less important than the first two in determining the specific amino acid to be incorporated, and this accounts for most of the degeneracy of the code. Genetic codon is unambiguous which means a specific codon indicates only a single amino acid. Out of 64 possible codons 3 are termed as nonsense codons and they do not code for amino acids. Remaining 61 codons code for 20 naturally occuring amino acids.